All of the statements about exenatide are true except:
1. It is a GLP–1 analogue
2. It can be used for treatment of Type 1 diabetes mellitus
3. It is given subcutaneously
4. It decreases glucagon

Correct answer: 2. It can be used for treatment of Type 1 diabetes mellitus

Explanation: Exenatide (Exendin 4) is a GLP-1 receptor agonist that is more resistant to DPP-4 action and cleared by the kidney.
When this drug is given to patients with type 2 diabetes by subcutaneous injection twice daily, it lowers blood glucose and HbA1c levels. It is not indicated in type 1 diabetes.
Exenatide appears to have the same effects as GLP-1 on glucagon suppression and gastric emptying.
Only drugs approved for treatment of type 1 diabetes are insulin and pramlintide.